Select the true statements :
1. Imipramine is used In treatment of endogenous depression
2. Fluoxetine causes weight gain
3. Thioridazine cause less anticholinergic effects
4. BZD's have same abuse potential as barbiturates

Correct answer: 1. Imipramine is used In treatment of endogenous depression

Explanation: A i.e. Imipramine is used in endogenous depression - PimozideQ & Loxapine are hetrocyclic antipsychotics. Fluoxitine (SSRI), Amitryptyline (TCA) & Trazadone (atypical) are antidepressants. - Imipramine is TCA & used in endogenous depression. Increased appetite & weight is seen in TCAs but not with SSRI (eg. fluoxetine). Fluoxetine lit weight lossQ Thioridazine is potent central anticholinergicQ drug with S/E of male sexual dysfunction (impaired ejaculation)Q - BZ's have lower abuse liability than barbiturates.